The drug of choice for the treatment of Pneumocystis jiroveci (Pneumocystis carinii) pneumonia is
1. Lamivudine
2. Cotrimoxazole (TMP-SMX)
3. Doxycycline
4. Itraconazole

Correct answer: 2. Cotrimoxazole (TMP-SMX)